Snowstorm appearance in sonography is characteristic of
1. Complete molar pregnancy
2. Ectopic pregnancy
3. Incomplete abortion
4. Missed abortion

Correct answer: 1. Complete molar pregnancy

Explanation: Sonographically, a complete mole appears as an echogenic uterine mass with numerous anechoic cystic spaces but without a fetus or amniotic sac. The appearance is often described as a "snowstorm"Partial mole has features that include a thickened, multicystic placenta along with a fetus or at least fetal tissueReference: William's Obstetrics; 25th edition, chapter 20; Gestational trophoblastic diseases